Oesophagus receives supply from all of the following except :
1. Bronchial artery
2. Internal mammary artery
3. Inferior phrenic artery
4. Inferior thyroid artery

Correct answer: 2. Internal mammary artery

Explanation: B i.e. Internal mammary artery